Neostigmine is used for reversing the adverse effect of –
1. d TC + pancuronium
2. d TC only
3. Alcuronium only
4. Ketamine complication

Correct answer: 1. d TC + pancuronium

Explanation: Neostigmine is used for the reversal of all non depolarizing blockers except for mivacurium. For mivacurium edrophonium should be used.